Which of the following is delusion -
1. Othello syndrome
2. Rabbit's Syndrome
3. Pyromania
4. None

Correct answer: 1. Othello syndrome

Explanation: Ans. is 'a' i.e., Othello syndrome & 4b' i.e., Declerambault's syndromeDelusional disorders (Persistent delusional disorders)o Delusional disorder, previously called as paranoid disorder, is a group of disorders where long standing delusions are the primary or only manifestation of illness. Persistent delusions must be present for at least 3 months (ICD-10) or for at least 1 month (DSM - IV).o Depending on the content following type of delusions may occur.Delusions of persecution : - These are the most common type of delusions. The patient believes that he is conspired against and harassed or bodily injured, spied or followed or poisoned by other. Patient believes that he is under the surveillance of police, as his neighbours have complained against him; or he is watched and the news in the newspaper refer to him.Somatic (Hypochondrical) delusions : - There are delusions related to the patients body or its part This condition is also referred to as monosymptomatic hypochondrical psychosis (MHP) or hypochondrical paranoia. Examples are : -Body or its part being ugly or misshapen, i.e., nose is deformed - Delusional dysmorphophobia.Infestations by worms or foreign bodies - Delusional parsitosis.Emitting a foul odor -Delusional halitosis.Delusions of grandeur : - Delusions of inflated self esteem and self image. The patient may believe that he is an important person who is able to help other, or may report hearing the voice of God and the Saints, Confirming.their elevated status.Delusions of jealousy (infidelity) : - Content of delusions is predominantly jealousy (infidelity) involving the spouse - Othello syndrome or Conjugal paranoia. Elobrate steps are taken to prevent the spouse to go outsite (Locks the spouse, not allowing her go outside), or to catch the spouse red handed (private detectives).Delusion of love (Erotomanic delusion or erotomania): - More prevalent among females and there is an erotic conviction that a person with higher status is in love with patient-* Declerambault's syndrome.